USG done at 18-20 weeks mainly to:
1. Detect fetal abnormality
2. Determine sex
3. Estimate liquor
4. Determine maturity

Correct answer: 1. Detect fetal abnormality

Explanation: A i.e. Detect fetal abnormality